Kappa toxin released by clostridium perfringens is responsible for
1. RBC destruction
2. Myocardial depression
3. Rhabdomyolysis
4. Destruction of connective tissue and blood vessels

Correct answer: 4. Destruction of connective tissue and blood vessels

Explanation: Exotoxins produces by C. Perfringens *Alpha toxin(lecithinase) - detroys RBC& WBC *phi toxin- myocardial depression *kappa toxin-destruction of connective tissue and blood vessels Ref:Bailey and love 27th edition Pg no :420